Most common site of tear in Mallory-weiss syndrome is in
1. Upper esophagus
2. Mid operation
3. Lower esophagus
4. Cardia stomach

Correct answer: 4. Cardia stomach

Explanation: MALLORY WEISS syndrome is seen in adults with severe prolonged vomiting, causing a longitudinal tear in the mucosa of the stomach at and just below the cardia leading to severe hematemesis.violent vomiting may be due to a migraine or vertigo or following a bout of alcohol.common in 1 o' clock position.investigations include Hb%, PCV.treatment includes blood transfusion, IV fluids, sedation and hemostatic agents such as vasopressin. Ref: SRB's manual of surgery,3 rd ed, pg no 734